Thyroglossal fistula develops due to -
1. Developmental anomaly
2. Injury
3. Incomplete removal of thyroglossal cyst
4. Inflammatory disorder

Correct answer: 3. Incomplete removal of thyroglossal cyst

Explanation: Thyroglossal fistula is never congenital. It follows infection or inadequate removal of a thyroglossal cyst.